In the Papez circuit of the limbic system, between which combination is the hypothalamus placed on the basis of function?
1. Cingulate cortex-hippocampus
2. Hipocampus-thalamus
3. Thalamus-hippocampus
4. Thalamus-cingulate cortex

Correct answer: 2. Hipocampus-thalamus

Explanation: The concept of circuits of neuronal systems within the limbic system is best illustrated by the "Papez circuit." In order, beginning with the cingulate cortex, neuronal communication proceeds as follows: the cingulate cortex projects to the parahippocampal gyrus; which projects to the hippocampus; which the fornix projects to the hypothalamus; which the mammillothalamic tract projects to the thalamus (anterior nucleus); which projects back to the cingulate cortex.